Which type of amyloidosis is caused by mutations in transthyretin gene?
1. Familial Mediterranean fever
2. Familial amyloidosis polyneuropathy
3. Dialysis associated amyloidosis
4. Prion protein associated amyloidosis

Correct answer: 2. Familial amyloidosis polyneuropathy

Explanation: Transthyretin (TTR) is a normal serum protein that binds and transports thyroxine and retinol. Several distinct mutant forms of TTR (and its fragments) are deposited in a group of genetically determined disorders referred to as familial amyloid polyneuropathies. Normal TTR is also deposited (Due to overproduction) in the heart of aged individuals (senile systemic amyloidosis).